Nobel prize for the discovery of oncogenic viruses were given to:
1. Ellerman and Bang
2. Rous
3. Bittner
4. Shope

Correct answer: 2. Rous

Explanation: Ans: b (Rous) Ref: Ananthanarayan, 7th ed, p. 574Rous won nobel prize for the discovery that Fowl sarcoma is caused by viruses.Ellerman and Bang - First observed the association of viruses with malignancy similar to an infectious diseaseBittner-Association of breast cancer with viruses transmitted through breast milkShope - Isolated rabbit fibroma virus and papilloma virus